Diagnosis of typhoid in the first week is by -
1. Widal test
2. Stool culture
3. Urine culture
4. Blood culture

Correct answer: 4. Blood culture